Which of the following is the MOST unlikely feature of hepatocellular carcinoma?
1. Hepatomegaly
2. Raised a- fetoprotein levels
3. Raised alkaline phosphatase
4. Jaundice

Correct answer: 4. Jaundice

Explanation: Jaundice is rare, unless significant deterioration of the liver function or obstruction of the bile duct occurs. Serum elevation of alkaline phosphatase and alpha fetoprotein are common. Also know Most common symptom of hepatocellular carcinoma is abdominal pain. Most common sign of hepatocellular carcinoma is hepatomegaly. Ref: CSDT 13/e, Page 518; Harrison 17/e, Page 581